The test of choice to detect perivalvular abscess of aortic valve is-
1. MRI of the heart
2. Transesophageal ECHO with Doppler
3. Ventriculography
4. CT Chest

Correct answer: 2. Transesophageal ECHO with Doppler

Explanation: Perivalvular abscess is a known and feared complication of left-sided endocarditis because it is associated with increased mortality. There was a male preponderance, and 60% of the patients had prosthetic valve endocarditis addition to use by cardiologists in outpatient and inpatient settings, TEE can be performed by a cardiac anesthesiologist to evaluate, diagnose, and treat patients in the perioperative period. Most commonly used during open heart procedures, if the patient's status warrants it, TEE can be used in the setting of any operation. TEE is very useful during many cardiac surgical procedures (e.g., mitral valve repair). It is actually an essential monitoring tool during this procedure. It helps to detect and quantify the disease preoperatively as well as to assess the results of surgery immediately after the procedure. If the repair is found to be inadequate, showing significant residual regurgitation, the surgeon can decide whether to go back to cardiopulmonary bypass to try to correct the defect. Aortic dissections are another important condition where TEE is very helpful. TEE can also help the surgeon during the insertion of a catheter for retrograde cardioplegia. A TEE is done when your doctor needs a closer look at your heart or does not get the information needed from a regular echo. You may need a combination of a TEE, Doppler ultrasound and color Doppler to get information about how blood flows across your heart's valves Ref Harrison 20th edition pg 1456